Periosteal new bone formation is seen in:
1. Caffey’s disease
2. Hypervitaminosis A
3. Syphilis
4. All of the above

Correct answer: 4. All of the above

Explanation: Periosteal new bone formation is seen in:

Caffey's disease or infantile cortical hyperostosis
Hypervitaminosis A
Syphilis, leukemia, Ewing's sarcoma, etc.
Garre's osteomyelitis
Acute osteomyelitis is most frequently caused by which of the following microorganisms (Al 02, 03) (Staphylococcus aureus and Staph Albus)